Spontaneous release of acetylcholine at the neuromuscular junction produces
1. Miniature end-plate potential
2. Action potential
3. Post-tetanic potential
4. Resting membrane potential

Correct answer: 1. Miniature end-plate potential

Explanation: Spontaneous release of acetylcholine in small amounts normally happens in synapses. This can result in miniature end plate potential.